Which of the following is associated with a reduction of cAMP in the serum?
1. Glucagon
2. Somatostatin
3. Thyroxine
4. Prolactin

Correct answer: 2. Somatostatin

Explanation: Somatostatin, the growth-hormone-inhibiting hormone is secreted as paracrine by D cells in the pancreatic islets and by similar D cells in the gastrointestinal mucosa. It exists in tissues in two forms, somatostatin 14 and somatostatin 28, and both are secreted. Somatostatin inhibits the secretion of gastrin, VIP, GIP, secretin, and motilin. Its secretion is stimulated by acid in the lumen, and it probably acts in a paracrine fashion to mediate the inhibition of gastrin secretion produced by acid. It also inhibits pancreatic exocrine secretion; gastric acid secretion and motility; gallbladder contraction; and the absorption of glucose, amino acids, and triglycerides. Why is this question frequently asked? Somatostatin and it's analogue Octeotride is associated with a lowering of cAMP levels in serum and in cholangiocytes. The hepatic cysts are derived from cholangiocytes that have undergone self-proliferation and differentiation and secrete fluid in part due to the intracellular second messenger, cyclic adenosine monophosphate (cAMP). Renal cysts in polycystic disease grow in response to cAMP and that a reduction in cAMP levels attenuates kidney disease progression. Thus, the preclinical studies provides a strong rationale for evaluating the potential role of octreotide in the treatment of human polycystic disease of the liver and kidneys. This is the current area of reaseach for a possible new therapy for polycystic liver and kidney dissease. Currently there is no known medical treatment. Hence, this is an important current topic for exams. Ref: Longo D.L., Fauci A.S., Kasper D.L., Hauser S.L., Jameson J.L., Loscalzo J. . Possible New Therapy for Polycystic Disease of the Liver and Kidneys: A Potential Role for Somatostatin. In D.L. Longo, A.S. Fauci, D.L. Kasper, S.L. Hauser, J.L. Jameson, J. Loscalzo (Eds), Schwartz's Principles of Surgery, 8e.